Position with least vital capacity in G.A.
1. Trendelenburg
2. Lithotomy
3. Prone
4. Lateral

Correct answer: 1. Trendelenburg

Explanation: A i.e. Trendelenburg In trendelenburg position, head end is lowered so due to gravity and weight of intra-abdominal viscera, diaphragm is at its highest level causing compression of lungs; so vital capacity is lowered.